Turbinate that articulates with ethmoid is -
1. Superior
2. Middle
3. Inferior
4. All of the above

Correct answer: 3. Inferior

Explanation: Middle turbinate & superior turbinate is a part of the ethmoidal bone whereas inferior turbinate articulates with the ethmoid bone, completing the medial wall of the nasolacrimal duct.